What is mechanism of action of Curanium drugs as muscle relaxant?
1. Persistently depolarizing at Neuromuscular junction
2. Act competitively on Ach receptors blocking post-synaptically
3. Repetitive stimulation of Ach receptors on muscle end plate
4. Inhibiting the calcium channel on presynaptic membrane

Correct answer: 2. Act competitively on Ach receptors blocking post-synaptically

Explanation: Candocuronium iodide is an aminosteroid neuromuscular-blocking drug or skeletal muscle relaxant in the category of non-depolarizing neuromuscular-blocking drugs. * Acts on Ach receptors competitively post-synaptically blocking them. * Potential adjunctive use in anaesthesia to facilitate endotracheal intubation & provide skeletal muscle relaxation. * Candocuronium demonstrated a short duration and a rapid onset of action, with little or no ganglion blocking activity, and it was only slightly less potent than pancuronium REF : WILLEY 10 TH ED